Corpus callosum involvement on MRI is usually seen in which of the following conditions?
1. SSPE
2. Krabbe's disease
3. Phytanic acid deficiency
4. Butterfly glioblastoma

Correct answer: 4. Butterfly glioblastoma